A 55-year-old cowboy is admitted to the emergency department after he was knocked from his feet by a young longhorn steer. MRI examination reveals a large hematoma in the knee joint. Physical examination reveals that the patient suffers from the "unhappy triad" (of O'Donahue). Which of the following structures are involved in such an injury?
1. Medial collateral ligament, medial meniscus, and anterior cruciate ligament
2. Lateral collateral ligament, lateral meniscus, and posterior cruciate ligament
3. Medial collateral ligament, lateral meniscus, and anterior cruciate ligament
4. Lateral collateral ligament, medial meniscus, and anterior cruciate ligament

Correct answer: 1. Medial collateral ligament, medial meniscus, and anterior cruciate ligament

Explanation: The "unhappy triad" (of O'Donahue) is composed of the medial collateral ligament, medial meniscus, and anterior cruciate ligament. Sudden, forceful thrusts against the lateral side of the knee put tension on the medial collateral ligament, which can then rupture. The medial meniscus is attached to the medial collateral ligament so that it then tears. The anterior cruciate ligament resists hyperextension of the knee; thus, it is the third structure that breaks in the "unhappy triad" of the knee.